Trigoneof urinary bladder develops from -
1. Urogenital sinus
2. Vesicourethral canal
3. Mesonephric duct
4. Endoderm

Correct answer: 3. Mesonephric duct

Explanation: Ans. is 'c' i.e., Mesonephric duct o The urinary bladder (except trigone) is derived from vesicourethral canaL cranial part of urogenital sinus (endodermal).o Trigone is derived from Absorbed part of Wolffian duct/mesonephrk duct (mesodermal).